Which of the following is NOT a feature of coenzyme?
1. It has high molecular weight
2. It combines loosely with enzyme molecules.
3. Mostly belong to vitamin B complex group
4. It is heat stable

Correct answer: 1. It has high molecular weight

Explanation: Salient features of coenzymes The protein part of the enzyme gives the necessary 3-D Infrastructure for chemical reaction, but the group is transferred from or accepted by the co-enzyme Essential for the biological activity of the enzyme Low molecular weight organic substance & is heat stable Combine loosely with the enzyme molecules, The enzyme and co-enzyme can be separated easily by dialysis Inside the body, when the reaction is completed, the co-enzyme Is released from the apo-enzyme and can bind to another enzyme molecule One molecule of the co-enzyme is able to convert a large number of substrate molecules with the help of an enzyme Most of them are derivatives of vitamin B complex substances.